Floor space of 2 persons -
1. 70-90 sq. Ft
2. 90-100 sq. Ft
3. 50-70 sq. Ft
4. 110-120 sq. Ft

Correct answer: 4. 110-120 sq. Ft

Explanation: Floor space for two persons is 110 sq.ft. or above.This standard is adopted to avoid overcrowding. Overcrowding refers to situation in which more people are living in a single dwelling than there is space for, so that privacy secluded,movement is restricted, hygiene impossible,rest and sleep difficult.Infectious disease spread rapidly under conditions of overcrowding.The accepted standards are A)person per room: 1 room - 2 persons 2 room- 3 persons 3 room- 5 persons 4 room - 7 persons B) floor space 110 sq.ft- 2 persons 90-100 sq.ft.- 1 and half person(1 -10 years is half a unit) 70 - 90 sq.ft- 1 person Parks textbook of preventive and social medicine.K Park. Edition 23.page no: 752